Common dislocation of elbow
1. Anterior
2. Posterior
3. Both same
4. Medial

Correct answer: 2. Posterior

Explanation: Refer Maheshwari 6th/r p 105 The elbow dislocation is nearly always posterior or posterolateral